Movements in socioeconomic level in society is:
1. Social equality
2. Socioeconomic upliftment
3. Social mobility
4. Scarce resources

Correct answer: 3. Social mobility

Explanation: - Movements in the socioeconomic level in the society is called as social mobility. - It is one of the demographic processes. Social equality: - Social equality is a state where people are treated fairly and given equal chances without any discriminations.